Clathrin is used in:
1. Receptor mediated endocytosis
2. Exocytosis
3. Cell adhesion
4. All

Correct answer: 1. Receptor mediated endocytosis

Explanation: Clathrin and megalin are associated with endocytosis Endocytosis is a vesicular transport system, it is an active process